Glucocorticoids act in inflammation by:
1. ↓Lipocortin
2. ↑ IL-2
3. ↑Lipocortin
4. ↑ CRP

Correct answer: 3. ↑Lipocortin